paprika sign during debridement is crucial in management of which of the following condition?
1. chronic osteomyelitis
2. osteosarcoma
3. osteoid osteoma
4. brodie's abscess

Correct answer: 1. chronic osteomyelitis

Explanation: paprika sign is the appearance of live bone after removal of sequestrum. Bone Debridement: * The goal of debridement is to leave healthy, viable tissue. Debridement of bone is done until punctuate bleeding is noted called the "PAPRIKA SIGN" * Copious irrigation with io to 14 L of normal saline is expected. * The extent of resection during debridement is important in Type B host patient. Such patient is treated with marginal resection. * Repeated debridement may be required. REF :MAHESWARI 9TH ED